Not ture about El Tor biotype of vibrio cholerae?
1. Lower mortality
2. Less SAR
3. Less chances of survival in environment
4. VP (+)

Correct answer: 3. Less chances of survival in environment

Explanation: Ans. is 'c' i.e., Less chances of survival in environment